All are features of non poisonous snakes except
1. Usually not traiangular
2. Fangs present
3. Belly scales are small and does not cover the entire breadth
4. Head scales are large

Correct answer: 2. Fangs present

Explanation: Features of non poisonous snakes Usually not triangular Large head scales with some exceptions Belly scales small or moderate and does not cover the entire breadth Small and short teeth only Tail not flat and tapering Not nocturnal Scales distal to the anal plate is divided Ref: FORENSIC MEDICINE AND TOXICOLOGY Dr PC IGNATIUS THIRD EDITION PAGE 509